Therapy with empathy listening offering solution to
1. Builds trust and respect
2. Enables the disputants to release their emotions
3. Reduces tensions
4. All of the above

Correct answer: 4. All of the above

Explanation: (D) All of the above # "Empathic listening (Active listening or reflective listening) is a way of listening and responding to another person that improves mutual understanding and trust.> It is an essential skill for third parties and disputants alike, as it enables the listener to receive and accurately interpret the speaker's message, and then provide an appropriate response.> The response is an integral part of the listening process and can be critical to the success of a negotiation or mediation.> Among its benefits, empathic listening Builds trust and respect, Enables the disputants to release their emotions, Reduces tensions, Encourages the surfacing of information, and Creates a safe environment that is conducive to collaborative problem solving."